Osborne waves in ECG are seen in :
1. Hypothyroidism
2. Hypothermia
3. Hypocalcemia
4. Hypokalemia

Correct answer: 2. Hypothermia

Explanation: Answer is B (Hypothermia) Osborne waves also called J waves are typically seen in Hypothermia. Wave; Osborne Wave (Camel-hump sign, Late delta wave, Hat-hook junction, or Current of injury wave (Also termed the' Osborne wave) is the most common ECG finding in patients with hypothermia h is characterized as a positive deflection in the terminal portion of the QRS complex and elevation of the J point waves are most commonly found in the anterior and lateral precordial leads and in lead IL although they may he present in only a single lead They usually occur in patients with core body temperatures less than 32deg C (90degF) and often appear larger when the temperature is below 30degC (86degf). The size of the J waves usually correlates inversely with the body temperature: as the body temperature increases, the J wave gradually becomes smaller. Cigarette smoking is the single most important modifiable risk factor for atherosclerosis Smoking is the single most important modifiable risk factor, jOr the development of Peripheral Artery Disease (PAD) Smoking cessation is the single most important target for coronary artery disease (CAD) Prevention